The commonest cause of hymen rupture is
1. Sanitory tampons
2. Masturbation
3. Sexual intercourse
4. Vigorous exercise

Correct answer: 3. Sexual intercourse

Explanation: Causes of Rupture of Hymen i. Sexual intercourse: Commonest cause of defloration. ii. Masturbation, especially with some large foreign body. Hymen is not injured in most cases, as manipulation is usually limited to parts anterior to the hymen. iii. An accident, like fall on a projecting substance or by slipping on the furniture or fence. It does not rupture by jumping, riding, vigorous exercise and dancing. iv. Gynecological examination or surgical operation. v. Foreign body insertion for rendering minors fit for sexual intercourse. (sola pith ) vi. Sanitary tampons.